Which stain is used for staining fungal elements?
1. Acid fast stain
2. Methenamine silver
3. Mucicarmine
4. Ziehl-Neelsen stain

Correct answer: 2. Methenamine silver

Explanation: Methenamine silver stains and the periodic acid schiff (PAS) are valuable methods for demonstration of fungal elements in tissue sections. Commonest culture media used in mycology are Sabouraud's glucose agar, Czapek-Dox medium, Cornmeal agar. Tissue sections like skin scrapings, are treated with 10% potassium hydroxide. The alkali digests cells and other tissue materials, enabling the fungal elements to be seen clearly. Do You Know: Only gram positive fungi is candida albicans. Ref: Ananthanarayanan & Paniker's textbook of microbiology Ed 8 Pg 601.